The intercondylar distance can be adjusted in the
1. Hanau H2 articulator
2. Hanau arcon H2 articulator
3. Whipmix articulator
4. Mean value articulator

Correct answer: 3. Whipmix articulator